Proprioceptions are carried by
1. A alpha fibers
2. A bita fibers
3. B fibers
4. C fibers

Correct answer: 1. A alpha fibers

Explanation: Proprioceptions are carried by A alpha fibresRef: Ganong's review of medical physiology 23rd edition Page no: 158